Incidence of undescended testis in preterm infants is:
1. <5%
2. 10%
3. 20%
4. 30%

Correct answer: 4. 30%

Explanation: The incidence of undescended testes is approximately 30% in preterm infants. Remember that undescended testis is more common in preterm when compared with term babies. Ref: Schwartz's principle of surgery 9th edition, chapter 39.